Store a drug in a cool place refers to:
1. Below freezing point of water
2. 0 degree
3. 2-4 degrees
4. 8-15 degrees

Correct answer: 4. 8-15 degrees

Explanation: Ans. D. 8-15 degreeWHO has defined conditions for storage of drugs which can be defined as follows:Label instructionsTemperatureStore frozen-20degC(4degF)Keep cool8deg-15degC(45deg-59degF)Store at room temperatureStore at 15deg-25degC(59deg-77degF)Store at ambientStorage in a dry, clean, well-ventilated area at roomtemperaturetemperatures between 15deg to 25degC(59deg-77degF) or up to 30degC, depending on climatic conditions